Paralysis of recurrent laryngeal nerve does not affect function of:
1. Thyroarytenoid
2. Lateral cricoarytenoid
3. Vocalis
4. Cricothyroid

Correct answer: 4. Cricothyroid

Explanation: Cricothyroid muscle which lies outside the larynx is supplied by external laryngeal nerve - a branch of superior laryngeal nerve of vagus. This is the only laryngeal muscle not supplied by recurrent laryngeal nerve.